A 23 year old male patient complains that his face appears too long. Extra-oral examination reveals a retrognathic mandible, steep mandibular plane angle and a prominent antegonial notch. Which of the following statements regarding this patient's condition is false?
1. Growth of mandible is more posteriorly
2. Growth of mandible is more anteriorly
3. Rotation is backward
4. Rotation can be given a positive sign

Correct answer: 1. Growth of mandible is more posteriorly

Explanation: By convention, the rotation of either jaw is considered "forward" and given a negative sign if there is more growth posteriorly than anteriorly. The rotation is "backward" and given a positive direction if it lengthens, anterior dimensions more than posterior ones, bringing the chin downward and backward.
Contemporary orthodontics, William Proffit, 4th edition page 116